Ito cells are found in:
1. Brain
2. Kidney
3. Liver
4. Lung

Correct answer: 3. Liver

Explanation: Hepatic stellate cells are also known as perisinusoidallipocytes or Ito cells and are much less numerous than hepatocytes. They play a major role in pathological processes. In response to liver damage, they become activated and predominantly myofibroblast-like. They are responsible for the replacement of toxically damaged hepatocytes with collagenous scar tissue - hepatic fibrosis, seen initially in zone 3, around central veins. This can progress to cirrhosis, where the parenchymal architecture and pattern of blood flow are destroyed, with major systemic consequences.